Langerhan's cells are:
1. Phagocytic cells
2. Antigen presenting cells
3. Seen in auto immune conditions
4. Seen in chronic infection

Correct answer: 2. Antigen presenting cells

Explanation: Answer is B (Antigen presenting cells) : Langerhan's cells are characteristic Antigen presenting cells Langerhan's cells are clear dendritic Q cells situated among the cells of stratum spinosum (slun). Q They are believed to be antigen processing cells. Q They are S100 positive Q on immunohistochemical studies. On electron microscopy: they lack melanosomesQ contain characteristic organelle, the Birbeck's granule.Q